A child presents with albinism. He should be evaluated for:
1. ENT consultation
2. Eye consultation
3. Electrocardiography
4. Neurosurgery

Correct answer: 2. Eye consultation

Explanation: Ans. b. Eye consultation